Pulsus paradoxus is a characteristic feature of
1. Constrictive pericarditis
2. Cardiac Tamponade
3. Hypertrophic obstructive cardiomyopathy
4. Restrictive cardiomyopathy

Correct answer: 2. Cardiac Tamponade